Kaposi Sarcoma is commonly seen in
1. Pancreas
2. CNS
3. Skin
4. Heart

Correct answer: 3. Skin

Explanation: Kaposi's sarcoma is a multicentric neoplasm consisting of multiple vascular nodules appearing in the skin, mucous membranes, and viscera. The course ranges from indolent, with only minor skin or lymph node involvement, to fulminant, with extensive cutaneous and visceral involvement. Apart from skin, the lymph nodes, GI tract, and lung are the organ systems most commonly affected by KS. Lesions have been reported in virtuallyevery organ, including the heart and the CNS.Ref: Harrison's Principles of Internal Medicine; 19th edition; Chapter 226 Human Immunodeficiency Virus Disease: AIDS and Related Disorders; Page no: 1269